The test based on lung weight useful in the diagnosis of live birth is:
1. Hydrostatic test
2. Static test
3. Wredin's test
4. Breslau's second life test

Correct answer: 2. Static test

Explanation: Ans. Static test